Recurrent corneal erosion is seen in –
1. Corneal dystrophy
2. Keratoglobus
3. Keratoconus
4. Peutz–anomalies

Correct answer: 1. Corneal dystrophy

Explanation: Recurrent corneal erosion syndrome is often described as a type of dystrophy that typically follows trauma to cornea by finger nail or any other sharp edge.
Lack of basement membrane and hemidesmosomes in the involved area is the basic defect.